Alma Ata conference was held in
1. 1978
2. 1977
3. 1956
4. 1948

Correct answer: 1. 1978

Explanation: The Declaration of Alma Act, 1978 stated that primary health care includes at leastEducation about health problems and methods of preventing and controlling themPromotion of food supply and nutritionAdequate supply of safe water and sanitationImmunizationPrevention and control of endemic diseasesAppropriate treatment of common diseases and injuriesProvision of essential drugs(Refer: K. Park's Textbook of Preventive and Social Medicine, 24th edition, pg no:928)